'Scissors bite' is a term used to describe
1. Anterior posterior crowing with deep bite
2. Posterior cross bite
3. The type of cross bite where maxillary segments contains full mandibular segments
4. A type of anterior cross bite

Correct answer: 3. The type of cross bite where maxillary segments contains full mandibular segments